Severe combined immunodeficiency is seen with:
1. Pre B- Cell
2. Pre T Cell
3. Both
4. NK Cell

Correct answer: 3. Both

Explanation: Ans. (c) BothRef Microbiology by Ananthanaray an and Paniker 9th ed. 174* Severe combined immunodeficiency (SCID) syndrome has impairment of both humoral and cell mediated immunity (B and T cell defect).* Inheritance pattern of SCID is X-Iinked recessive > Autosomal recessive.Clinical Manifestation of SCID* Oral candidiasis in infants* Recurrent infection with candidia albicans, RCarinii, CMV, varicella.* Organs like lymph nodes, tonsils, peyers patches are absent.* Very small thymus gland* Poor survival rate.